Baby with recurrent infection of ear & discharge & seborrheic dermatitis with hepatosplenomegaly with cystic skull lesions. Diagnosis is ?
1. Hemophagocytic lymphohistiocytosis
2. Langerhans cell histiocytosis
3. ALL
4. Multiple myeloma

Correct answer: 2. Langerhans cell histiocytosis

Explanation: Ans. is 'b' i.e., Langerhans cell histiocytosis